Northern blotting used in separation and diagnosis of:
1. Histones
2. Proteins
3. RNA
4. DNA

Correct answer: 3. RNA

Explanation: Ans: (c) RNARef: Ananthanarayan and Paniker, 9th edition, Page 65Southern blotting - DNANorthern blotting - RNAWestern blotting - ProteinsMnemonic: North India - Roti; South India - Dosa; Western countries- Pizza (R-RNA; D-DNA; P-Proteins).